The most common presentation of congenital CMV infection is -
1. Hepatosplenomegaly
2. Microcephaly
3. Cerebarl calcification
4. Chorioretinitis

Correct answer: 1. Hepatosplenomegaly

Explanation: This is a genaralised infection associated with Hepatosplenomegaly REF:ANANTHANARYANAN TEXT BOOK OF MICROBIOLOGY 9EDITION PGNO.473